Spontaneous delivery of placenta reduces which complication compared to manual extraction of placenta
1. Deep - vein thrombosis
2. Post partum infection
3. Retention of placental products
4. Amniotic fluid embolism

Correct answer: 2. Post partum infection

Explanation: Spontaneous placental delivery reduces risk of operative blood loss and infection.